Most common cause of heart failure in infancy is
1. Myocarditis
2. Rheumatic fever
3. Cardiomyopathy
4. Congenital heart disease

Correct answer: 4. Congenital heart disease

Explanation: Most common cause of heart failure in infancy is CHD. Ref : Ghai essential of pediatrics, eighth edition, p.no:397